Secondary bladder stone formed due to
1. BPH
2. Bladder diverticulum
3. Foreign body
4. All of the above

Correct answer: 4. All of the above

Explanation: Causes for Secondary bladder stone are BPH

Bladder diverticulum
Foreign body.